Features of vernal keratoconjunctivitis are – a) Papillary hypertrophyb) Follicular hypertrophyc) Herbert's pitsd) Tantra\'s Spote) Ciliary congestion
1. b
2. c
3. ac
4. ad

Correct answer: 4. ad

Explanation: Papillary hypertrophy into polygonal papilla is arranged in cobblestone or pavement stone fashion.